Inhibitor of FOF1 ATPase in Electron transport chain ?
1. Antimycin
2. Oligomycin
3. 2, 4 dinitrophenol
4. Barbiturate

Correct answer: 2. Oligomycin

Explanation: Oligomycin Inhibitors of oxidative phosphorylation These compounds directly inhibit phosphorylation of ADP to ATP.Oligomycin inhibits Fa component of FoFi ATPase.Atractiloside inhibits translocase, a transport protein that transports ADP into mitochondria for phosphorylation into ATP.